All the muscles of the face are supplied by facial nerve except :
1. Levator anguli oris
2. Corrugator supercilli
3. Leavator palpebrae superioris
4. Risorius

Correct answer: 3. Leavator palpebrae superioris

Explanation: C i.e. Levator palpebrae superioris